Memory needed for repetitive skills is
1. Declarative
2. Semantic
3. Explicit
4. Implicit

Correct answer: 4. Implicit

Explanation: Implicit memory is subdivided into 4 types. Procedural memory includes skills and habits, which once acquired becomes unconscious and automatic. Ref: Ganong's review of medical physiology; 23rd edition; pg:290.